The earliest symptom in primary biliary cirrhosis is -
1. Jaundice
2. Pruritus
3. Melanosis
4. Vomiting

Correct answer: 2. Pruritus